A 25-year-old man with congenital abnormalities at birth has a lesion of the dorsal scapular nerve, making him unable to adduct his scapula. Which of the following muscles is most likely paralyzed?
1. Semispinalis capitis
2. Rhomboid major
3. Multifidus
4. Rotator longus

Correct answer: 2. Rhomboid major

Explanation: The rhomboid major is a superficial muscle of the back; is innervated by the dorsal scapular nerve, which arises from the ventral primary ramus of the fifth cervical nerve; and adducts the scapula. The semispinalis capitis, multifidus, rotator longus, and iliocostalis muscles are deep muscles of the back; innervated by dorsal primary rami of the spinal nerves; and have no attachment to the scapula.